Male mosquitoes preferably feed on:
1. Human blood
2. Animal blood
3. Plant juices
4. None of the above

Correct answer: 3. Plant juices

Explanation: Male mosquitoes never bite. They survive on plant juices. On the contrary, female mosquitoes are hematophagous. Ref: Park 21st edition page: 712.